A 56 year-old male was brought to the emergency department with severe pain in the left flank region. CT-examination revealed occlusion of the left renal vein. The condition would impede the blood flow through all the following veins except:
1. Left Adrenal vein
2. Left testicular vein
3. Diaphragmatic vein
4. Left subcostal vein

Correct answer: 4. Left subcostal vein

Explanation: Left subcostal vein doesnot drain into the left renal vein. Veins that commmonly drain into the renal vein (which in turn drains into the IVC) Left inferior phrenic (diapgragmatic) vein, Left suprarenal (adrenal) vein, Left gonadal vein On the right side, all the above veins drain into the inferior vena cava directly. Apart from the veins described above, the first and second left lumbar veins and hemiazygous vein may drain into the left renal vein. Ref: Gray's Anatomy 41st edition Pgno: 1091, 1246